Most characteristic features of Acute Inflammation is:
1. Vasoconstriction
2. Vascular stasis
3. Vasodilation and incresed vascular permeability
4. Margination of leukocytes

Correct answer: 3. Vasodilation and incresed vascular permeability

Explanation: Vasodilation and incresed vascular permeability